A 3 hours old neonate with apnea is on bag and mask ventilation for last 30 seconds, now showing spontaneous breathing with heart rate 110/min. The next step should be –
1. Discontinue ventilation
2. Continue ventilation
3. Give chest compression
4. ET intubation

Correct answer: 1. Discontinue ventilation